Non professional antigen presenting cell is A/E ?
1. Endothelial cell
2. Epidermal cell
3. Fibroblasts
4. Red blood cells

Correct answer: 4. Red blood cells

Explanation: Ans. is 'd' i.e., Red blood cells Non-professional antigenpresenting cell A non-professional APC does not constitutively express the Major Histocompatibility Complex class II (MHC class II) proteins required for interaction with naive T cells; these are expressed only upon stimulation of the non? professional APC by certain cytokines such as IFN-y. All nucleated cells express the Major Histocompatibility Complex class I necessary to be considered a nonprofessional APC. As erythrocytes do not have a nucleus, they are one of the few cells in the body that cannot display antigens.